Brighton's criteria is used for:
1. Guillain Barre Syndrome
2. Myasthenia Gravis
3. Polymyositis
4. Muscular dystrophy

Correct answer: 1. Guillain Barre Syndrome

Explanation: (A) GBS# 'Brighton criteria also account for the level of diagnostic certainty based on the presenting findings at clinical and additional examinations, ranging from level 1 (highest level of diagnostic certainty) to level 4 (reported as Guillain-Barre syndrome, possibly due to insufficient data for further classification) as shown in below table.KEY BRIGHTON DIAGNOSTIC CRITERIA FOR GUILLAIN-BARRE SYNDROMEDiagnostic criteriaLevel of diagnostic certainty I1234Bilateral and flaccid weakness of limbs++++/-Decreased or absent deep tendon reflexes in weak limbs++++/-Monophasic course and time between onset-nadir 12 h to 28 days++++/-CSF cell count <50/ml++*-+/-CSF protein concentration > normal value++/-*-+/-Nerve conduction studies findings consistent with subtypes of GBS++/--+/-Absence of alternative diagnosis for weakness+++++ = Present; - = Absent; +/- = present or absent;*When CSF is not available, nerve electrophysiology results must be consistent with the diagnosis of Guillain-Barre syndrome. Level 1 is the highest level of diagnostic certainty, whereas Level 4 is the lowest level of diagnostic certainty